Which of the following is not an accepted method of randomization
1. Computer drawn randomization
2. Odd/even day hospital admission
3. Lottery
4. Random number table

Correct answer: 2. Odd/even day hospital admission

Explanation: Basic steps in conducting randomized control trials include Drawing up a protocol Selecting reference and experimental population Randomization Manipulation or intervention Follow up Assessment of outcome (refer pg 81, park 23 rd edition)